DALY is defined as-
1. Years of life lost to disability
2. Year of life lived with disability
3. Years of life lost to disability & premature death
4. Years of live lived in hospital

Correct answer: 3. Years of life lost to disability & premature death

Explanation: Ans. is 'c' i.e., Years of life lost to disability & premature death Disability-adjusted life years (DALY)* DALY is a measure ofi) The burden of disease in a defined populationii) The effectiveness of interventions* It expresses years lost to premature death and years lived with disability adjusted for the severity of the disability.* That means, DALY measures both mortality and disability together (in contrast to Sullivan's index which is related to disability only).* One DALY is one lost year of healthy life.* Japanese life expectancy statistics are used as a standard for measuring premature death, as Japanese have the longest life expectancy.